For the treatment of basal cell carcinoma, popular surgery which is carried out is:
1. Mohs surgery
2. Laser surgery
3. Cryosurgery
4. None of the above

Correct answer: 1. Mohs surgery

Explanation: Mohs surgery is very popular for basal cell carcinoma.
Basal cell carcinoma
Head and neck lesions with a high risk for recurrence often are treated by Mohs micrographic surgery. This technique uses intraoperative, frozen-section evaluation of specially mapped and marked surgical specimens to ensure complete tumor removal.
Reference: ORAL AND MAXILLOFACIAL PATHOLOGY, Neville, FOURTH EDITION page no 399